All of the following are anti-Pseudomonal drugs except:-
1. Piperacillin
2. Cefoperazone
3. Ceftazidime
4. Cefadroxil

Correct answer: 4. Cefadroxil

Explanation: DRUGS EFFECTIVE AGAINST PSEUDOMONAS Beta lactam antibiotics Carboxypenicillins i. Carbenicillin ii. Ticarcillin Ureidopenicillin i. Piperacillin ii. Azlocillin iii. Mezlocillin Carbapenems i. Imipenem ii. Doripenem iii. Meropenem Monobactams i. Aztreonam Cephalosporins i. Ceftazidime ii. Cefoperazone iii. Moxalactam iv. Cefepime v. Cefpirome Fluoroquinolones i. Ciprofloxacin ii. Levofloxacin Polypeptide Antibiotics i. Colistin ii. Polymixin B. Aminoglycosides